All of these drugs can be used in the treatment of postmenopausal osteoporosis EXCEPT:
1. Alendronate
2. Teriparatide
3. Calcium
4. Thyroxine

Correct answer: 4. Thyroxine